Which surgical procedure has the highest incidence of ureteric injury?
1. Vaginal hysterectomy
2. Abdominal hysterectomy
3. Wertheim's hysterectomy
4. Anterior colporrhaphy

Correct answer: 3. Wertheim's hysterectomy

Explanation: Wertheim's requires dissection of the periureteral tissues and removing the lymphatics surrounding the course of the ureter. This can devascularize the ureter causing ureteric fistulas. The next most common cause of ureteric injury is abdominal hysterectomy. Another common cause ( and generally missed ) is the entrapment of the ureter in repairing high tears in the vaginal vault during cervical or vaginal lacerations